Which among the following is false about Non Bacterial Thrombotic Embolism(NBTE) :
1. Marantic endocarditis
2. Thrombi on the leaflets of the cardiac valves
3. Vegetations elicit inflammatory reaction
4. Non invasive in nature

Correct answer: 3. Vegetations elicit inflammatory reaction

Explanation: Vegetation in SLE Vegetation in NBTE Small, sterile, firm Both surface of valve Lower surface> upper surface Libman sack endocarditis Marantic endocarditis Along the line of closure Non invasive Don't elicit inflammatory reaction Small, Sterile Friable: Embolism Seen in - Ca Pancreases- AML M3 Vegetation of IE Vegetation Of RHD Large, multiple Friable High risk of embolism Vegetation at periphery Deposition of bacteria in multiple Organ like kidney and Brain. Small, sterile Along line of closure Firm - less chance of embolism